In Familial hypercholesterolemia there is deficiency of
1. LDL receptor
2. Apoprotein A
3. Apo protein C
4. Lipoprotein lipase

Correct answer: 1. LDL receptor

Explanation: LDL receptors 

Familial hypercholesterolemia (type IIa) is due to deficiency of functional LDL receptors as a result of different types of mutations.